In malignant hyperthermia the increased heat production is due to :
1. Increased muscle metabolism by excess of calcium ions
2. Thermic effect of food
3. Increased sympathetic discharge
4. Mitochondrial thermogenesis

Correct answer: 1. Increased muscle metabolism by excess of calcium ions

Explanation: . Increased muscle metabolism by excess of calcium ions